Endoscopic surgery is not done in -
1. Optic nerve compression
2. CSF rhinorrhea
3. Dacryocystic carcinoma
4. Ethmoidal polyps

Correct answer: 3. Dacryocystic carcinoma